Wrong about prazosin is :
1. a2 presynaptic blocker
2. Orally effective
3. Metabolised in liver
4. First dose effect may occur

Correct answer: 1. a2 presynaptic blocker

Explanation: Ans. is 'a' a2 presynaptic blocker Reference KDT 5th p. 121 (4th/e page 135)Prazosin is a highly selective a1 blaker*It producers first dose effect* (Postural hypotension in the beginning)*It is highly bound to proteins, metabolized in liver* and primarily excreted in bile.It dilates arterioles more than veins.